A pole vaulter had a fall during pole vaulting and had paralysis of the arm . Which of the following investigations gives the best recovery prognosis -
1. Electromyography
2. Muscle biopsy
3. Strength Duration Curve
4. Creatime phosphokinase levels

Correct answer: 1. Electromyography

Explanation: "The electrodiagnostic tests include EMG, nerve conduction study, somatosensory-evoked potential, percutaneous electric stimulation etc. EMG (electromyography) is by far the most reliable and effective test which successfully identifies the roots, involved".  ____Ebnezar